"Anaesthesia on the sole of the foot" is caused by injury to
1. Common peroneal nerve
2. Tibial nerve
3. Superficial peroneal nerve
4. Deep peroneal nerve

Correct answer: 2. Tibial nerve